A 65-year-old light-complexioned male presents with a solitary scaly plaque like lesion on his forearm present for many years. The lesion is 0.5 cm in diameter. Shave biopsy reveals intraepithelial squamous cell carcinoma. (Bowen's disease) incompletely excised. Further treatment includes:
1. Wide excision of the lesions and sentinel node biopsy
2. Referral for local radiation therapy
3. Excision and repair of this area, ensuring clear surgical margins
4. No further treatment indicated

Correct answer: 3. Excision and repair of this area, ensuring clear surgical margins

Explanation: Bowen's disease represents an intraepithelial squamous cell carcinoma (carcinoma in situ) and is seen in older patients. These lesions tend to have a long clinical course. Adequate excision is the recommended treatment as these lesions can become invasive squamous cell carcinomas and metastatasize.